Which of the following stains is used to study fungal morphology in tissue sections?
1. PAS
2. Von- kossa
3. Alizarin Red
4. Masson's Trichrome

Correct answer: 1. PAS

Explanation: PAS, Grocott silver stain stains fungus and their morphology. Ref: Diagnosis and Treatment of Human Mycoses By Michael G. Rinaldi, Page 42; Dermatopathology : The Basics By Bruce R. Smoller, Kim M. Hiatt, Page 64; Eye Pathology : An Atlas and Text By Ralph C. Eagle, Page 295.